Commonest variety of carcinoma stomach is
1. Squamous carcinoma
2. Adenocarcinoma
3. Colloid carcinoma
4. None

Correct answer: 2. Adenocarcinoma

Explanation: Ans. is 'b' i.e., Adenocarcinomao About 85% of stomach cancers are adenocarcinoma.o Louren classified gastric adenocarcinoma into two subtypes :?Intestinal Variant --> Composed of neoplastic intestinal gland resembling those of colonic adenocarcinoma.Diffuse variant - Composed of gastric type mucous cells, which generally do not form glands. The appearance of the cells is "Signet ring" appearance because the mucin in the cell pushes the nucleus to the periphery. It is seen more frequently with E-Cadherin mutation.Following information have been added in 81/e of Robbins o Overall incidence of gastric adenocarcinoma is falling. On the other hand, cancer of gastric cardia is on the rise. This is probably related to Barrett esophagus and may reflex the increasing incidence of chronic GERD and obesity.o The remarkable decrease in gastric incidence applies only to intestinal type. As a result, the incidences of intestinal and diffuse types of gastric cancer are now similar.